Inclusion body in oligodendroglia is a feature of which of the following
1. Progressive multifocal leucoencephalopathy
2. Japanese encephalitis
3. Polio
4. CJD

Correct answer: 1. Progressive multifocal leucoencephalopathy

Explanation: Progressive multifocal leukoencephalopathy (PML) is a rare and often fatal viral disease characterized by progressive damage (-pathy) or inflammation of the white matter (leuko-) of the brain (-encephalo-) at multiple locations (multifocal). It is caused by the JC virus, which is normally present and kept under control by the immune system. The JC virus is harmless except in cases of weakened immune systems. In general, PML has a mortality rate of 30-50% in the first few months, and those who survive can be left with varying degrees of neurological disabilities PML is a demyelinating disease, in which the myelinsheath covering the axons of nerve cells is gradually destroyed, impairing the transmission of nerve impulses. It affects the subcortical white matter, particularly that of the parietal and occipital lobes. PML destroys oligodendrocytes and produces intranuclear inclusions. It is similar to another demyelinating disease, MS, but progresses much more quickly. The breakdown of myelin is commensurate with the degree of immunocompromised ref internet